The type of gold alloy used in fixed partial dentures is:
1. Soft gold
2. Hard gold
3. Medium gold
4. Extra hard gold

Correct answer: 2. Hard gold